An 18-year-old man, of Italian extraction, is found to have a hypochromic microcytic anemia of 10 g/dL. In addition, there are a fair number of anisocytosis, poikilocytosis, and target cells seen on the blood film. The WBC is 9500/mL, the platelet count is 240,000/mL, and the reticulocyte count is 7%. The spleen is palpated 5 cm below the left costal margin. Which of the following is the most likely diagnosis?
1. sickle cell trait
2. thalassemia minor
3. HbS-C disease
4. sideroblastic anemia

Correct answer: 2. thalassemia minor

Explanation: Thalassemia minor usually represents a heterozygous state and is often asymptomatic. Symptoms may develop during periods of stress such as pregnancy or severe infection. Hemoglobin values are usually in the 9-11 g/dL range. The red cells are small and poorly hemoglobinized.